SYBR Green Dye is used for
1. HPLC
2. Immunofluorescence
3. PCR
4. ELISA

Correct answer: 3. PCR

Explanation: Dyes such as SYBR Green I, that intercalate into double-stranded DNA (or for other dyes, bind to the DNA minor groove) are more convenient to have on hand and less expensive than probes.The disadvantages of dyes include detection of non-specific double-stranded reaction products (resulting in increased background or false positives). In addition, some dyes are known to inhibit the PCR reaction.